The type of arteritis which may lead to myocardial infarction in children is
1. Kawasaki disease
2. Takayasu arteritis
3. Polyarteritis nodosa
4. Microscopic polyangitis

Correct answer: 1. Kawasaki disease

Explanation: Ans. is 'a' i.e., Kawasaki disease o Kawasaki disease is an acute, self limited vasculitis of unknown etiology that occurs predominantly in infants and young children of all races. Coronary artery aneyrysms or ectasia develops in 15-25% of untreated children with the disease and may lead to ischemic heart disease, myocardial infarction, or even sudden death. In the USA, Kawasaki disease has surpassed acture rheumatic fever as teh leading cause of acquited heart disease in children